All of the following are features of synchysis scintillans except
1. Fluid vitreous
2. Spherical calcium bodies
3. Shower of gold rain
4. Secondary to trauma or inflammations of the eye

Correct answer: 2. Spherical calcium bodies

Explanation: Synchysis scintillans: In this condition, vitreous is laden with small white angular and crystalline bodies formed of cholesterol. It affects the damaged eyes which have suffered from trauma, vitreous haemorrhage or inflammatory disease in the past. In this condition vitreous is liquid and so, the crystals sink to the bottom, but are stirred up with every movement to settle down again with every pause. This phenomenon appears as a beautiful shower of golden rain on ophthalmoscopic examination. Sincethe condition occurs in damaged eye, it may occur at any age. The condition is generally symptomless, but untreatable. Ref:- A K KHURANA; pg num:-245,246